In proximal convoluted tubule H+ is exchanged for?
1. HCO3
2. K+
3. C1
4. Na+

Correct answer: 4. Na+

Explanation: Ans. (d) Na+Ref: Guyton physiology 11th ed. / 55* Sodium-hydrogen counter-transport occurs in several tissues.* An important example is in the proximal tubules of the kidneys, where sodium ions move from the lumen of the tubule to the interior of the tubular cell, while hydrogen ions are counter transported into the tubule lumen.